Genetic analysis shows N-myc gene in a child. She may have the following malignancy:
1. Neuroblastoma
2. Retinoblastoma
3. William's tumor
4. Nephroblastoma

Correct answer: 1. Neuroblastoma

Explanation: Neuroblastoma is associated with N-myc amplification. It is associated with a poor prognosis regardless of patient age. Regression of neuroblastoma generally occurs only in tumors with a near triploid number of chromosomes that also lack N-myc amplification and loss of chromosome arm 1p. Ref: Hackam D.J., Grikscheit T.C., Wang K.S., Newman K.D., Ford H.R. (2010). Chapter 39. Pediatric Surgery. In F.C. Brunicardi, D.K. Andersen, T.R. Billiar, D.L. Dunn, J.G. Hunter, J.B. Matthews, R.E. Pollock (Eds), Schwartz's Principles of Surgery, 9e.